Ectopic rest of normal tissue is known as
1. Choristoma
2. Hamartoma
3. Pseudotumor
4. Lymphoma

Correct answer: 1. Choristoma

Explanation: choristoma is an ectopic rest of normal tissue. These are proliferation of any histologically normal tissue in an abnormal location Ref ganong's review of medical physiology 25e